Concentration of DNA is measured by-
1. Absorption at 260 nm
2. D-oxyribose estimation
3. Infrared examination
4. Ultrasound examination

Correct answer: 1. Absorption at 260 nm

Explanation: Concentration (and quality) of nucleotides and nucleic acid (DNA/RNA) is measured in terms of "absorbance at 260 nm" with a Ultraviolet (UV) spectrophotometer.